Other name of AST:
1. SGOT
2. SGPT
3. Alkaline phosphatase
4. Acid phosphatase

Correct answer: 1. SGOT

Explanation: SGOT: Serum glutamic oxaloacetic transaminase, an enzyme that is normally present in liver and heart cells. SGOT is released into blood when the liver or heart is damaged.The blood SCOT levels are thus elevated with liver damage (for example, from viral hepatitis) or with an insult to the heart (for example, from a heart attack). Some medications can also raise SCOT levels.SGOT is also called aspartate aminotransferase (AST).